Sample collection for renal tuberculosis is
1. Single early morning urine sample
2. 24 hours urine collection
3. 3 random urine collection
4. 3 morning sample of urine

Correct answer: 4. 3 morning sample of urine

Explanation: BACTERIOLOGICAL:- The diagnosis of genitourinary TB is confirmed on a tuberculin test or atleast three consecutive early morning samples of urine are collected and sent for microscopy (Ziehl-Neelsen staining), culture on Lowenstein-Jensen medium. RADIOGRAPHY:- A plain abdominal radiograph may show calcified lesions of CEMENT KIDNEY. INTRAVENOUS UROGRAPHY:-EARLY:-Normally clear cut outline of renal papillae may be rendered indistinct by presence of ulceration. TUBERCULOUS ABSCESS:-Appears as SOL , which causes adjacent calyces to splay out. LATE:- Dilatation of contralateral ureter from obstruction where the ureters passes through thickened and oedmatous bladder wall. CYSTOSCOPY:- GOLF-HOLE ureteric orifice. CXR:-Active Lung lesion. Reference : Bailey27th edition . chapter 76 , pg no: 1405